Triad of renal colic, swelling in loin which disappears after passing urine is called:
1. Kocher's triad
2. Saint's triad
3. Dietel's crisis
4. Charcot's triad

Correct answer: 3. Dietel's crisis

Explanation: Ans. (c) Dietel's crisisRef: Bailey 26th Edition, Page 1293Dietel's Crisis: (Intermittent Hydronephrosis)* Swelling in loin with pain* Swelling disappears with pain also disappears* Large volume of urine passed